GLP - 1 is broken down by
1. α - glucosidase
2. Rasburicase
3. Dipeptidyl peptidase
4. Glucose 1 phosphatase

Correct answer: 3. Dipeptidyl peptidase

Explanation: GLP - 1 is a peptide hormone released from intestinal cells that act on β -  cells to release insulin. It is rapidly broken down by Dipeptidyl peptidase 4 (DPP - 4).